Korsakoff psychosis is seen in:
1. Thiamine deficiency
2. Riboflavin deficiency
3. Niacin deficiency
4. Cyanacobalamin deficiency

Correct answer: 1. Thiamine deficiency

Explanation: Ans. (a) Thiamine deficiencyRef: Harrison 19th ed. / 2607,2724There are six Major Symptoms of Korsakoff's Syndrome* Anterograde amnesia* Retrograde amnesia* Severe memory loss* Confabulation* Minimal content in conversation* Lack of insight or ApathyThiamine is essential for the carboxylation of pyruvate and deficiency during this metabolic process is thought to cause damage to the medial thalamus and mammillary bodies of the posterior hypothalamus as well as generalized cerebral atrophy. These brain regions are all parts of the limbic system, which is involved in emotion and memory.